All of these are branches of maxillary nerve in pterygopalatine fossa except:
1. Zygomatic nerve
2. Infraorbital nerve
3. Pterygopalatine nerve
4. Posterior superior alveolar nerve

Correct answer: 2. Infraorbital nerve

Explanation: Infraorbital nerve emerges within the orbit.
Gives 2 branches:
Middle superior alveolar nerve - arises in infraorbital groove.  
Anterior superior alveolar nerve - arises in infraorbital canal.
Branches of maxillary nerve in pterygopalatine fossa:

Zygomatic nerve:-

Zygomaticotemporal
Zygomaticofacial


Ganglionic branches (branches of pterygopalatine ganglion). 
 Posterior superior alveolar nerve


KEY CONCEPT:
Infraorbital nerve is the continuation of maxillary nerve. Enters the orbit through inferior orbital ﬁssure.